Sodium content of ReSoMal is:
1. 90 mmol/L
2. 60 mmol/L
3. 45 mmol/L
4. 30 mmol/L

Correct answer: 3. 45 mmol/L

Explanation: ReSoMAL (Rehydration solution for severely Malnourished child): Severely malnourished children are deficient in potassium and have relatively high levels of sodium ReSoMal- lower sodium concentration and higher potassium concentration. Component ReSoMal (mEq/L) WHO ORS (mEq/L) Glucose 125 75 Sodium 45 75 Potassium 40 20 Chloride 70 65 Citrate 7 10 Magnesium 3 Zinc 0.3 Copper 0.045 Osmolarity 300 245